Which of the following is associated with Von Brunn's nest?
1. Normal urothelium
2. Transitional cell carcinoma
3. Squamous cell carcinoma
4. Adenocarcinoma

Correct answer: 1. Normal urothelium

Explanation: Nests of von Brunn:Proliferative invaginations of urothelium retaining continuity with the surface are termed von Brunn's buds. Well-defined solid nests of urothelial cells within the superficial lamina propria are termed von Brunn's nests. These two occur in most bladders, most commonly in trigone. They regarded as part of the normal histology of bladder mucosa. Ref: Urologic pathology By Robert O. Petersen, Isabell A. Sesterhenn, Charles J. Davis, 2009, Page 137, 184.